Maximum oxygen is transported in blood
1. In dissolved form
2. By albumin
3. By hemoglobin
4. By WBC

Correct answer: 3. By hemoglobin

Explanation: About 99% of the O2 transported combines with the O2carrying protein hemoglobinRef: Ganong's Review of Medical Physiology Twenty-Third Edition Page No:609